Treatment of fresh case of CTEV in newborn is usually done by:
1. Ponseti technique
2. Kites technique
3. Kochers technique
4. Wilsons technique

Correct answer: 1. Ponseti technique

Explanation: Conservative Management of CTEV Kites method -followed earlier Ponsetti method now preferred At birth Manipulation by mother initial weeks Manipulation and cast Change of cast Every 2 weeks Weekly Correction order C-A-V-E C-AV-E Fulcrum while manipulating Calcaneocuboid joint Head of talus Duration of treatment 6-9 months 6-8 weeks